5 year old child with pseudomembrane in throat, fever, sore throat, the organism causing is
1. Comma shaped gram negative bacilli
2. Club shaped gram positive bacilli
3. Spore forming gram positive bacilli
4. Filamentous gram positive bacilli

Correct answer: 2. Club shaped gram positive bacilli

Explanation: Corynebacterium diphtheriaNon-motile, non-capsulated, club-shaped gram-positive bacillusInfect nasopharynx & release exotoxin which cause local inflammation of epithelial surface, the formation of a membrane (pseudomembrane) and toxemia.(Refer: Nelson's Textbook of Pediatrics, SAE, 1st edition, pg no. 1345 - 1348)